All of the following are cardinal signs of inflammation except:
1. Pain
2. Swelling
3. Redness
4. Absence of functional loss

Correct answer: 4. Absence of functional loss

Explanation: Celsus first listed the four cardinal signs of inflammation: rubor (redness), tumor (swelling), calor (heat), and dolor (pain). These signs are hallmarks of acute inflammation. A fifth clinical sign, loss of function (functio laesa), was added by Rudolf Virchow.